According to recent rounds by DSM what code is given to psychiatric diseases in ICD 10 ?
1. E
2. F
3. P
4. G

Correct answer: 2. F

Explanation: Ans. B. FICD -10 is WHO classification for all diseases and health problems (and not only psychiatric disorders).ICD-10 uses alpha numeric code made of an alphabet a in contrast DSM-IV uses numerical coding) a 'F' is for mental disorders.There are l0 main categories denoted by digits 0 to 9.